Red velvety appearance of the gastric mucosa is seen in poisoning with:
1. Abrus precatorius
2. Lead
3. Arsenic
4. Copper

Correct answer: 3. Arsenic

Explanation: Red velvety appearance of mucosa of stomach is seen in Arsenic poisoning.